Mucosa is never involved in which of the following disorders –
1. Dermatitis herpetiformis
2. Pemphigus vulgaris
3. Epidermolysis bullosa acquisita
4. Toxic epidermal necrolysis

Correct answer: 1. Dermatitis herpetiformis

Explanation: Mucosal involvement

Common                →   Pemphigus
Rare                      →   Pemphigoid
Not involved          →   Dermatitis herpetifo